Rose-Waaler test is a?
1. Co-agglutination test
2. Latex agglutination test
3. Slide agglutination test
4. Haemagglutination test

Correct answer: 4. Haemagglutination test

Explanation: Rose-Waaler test is a passive haemagglutination test. It is done in rheumatoid arthritis. Autoantibody (RA factor) in the serum acts as antibody to gamma globulin. RA factor can agglutinate red cells coated with globulins.